Health education-
1. Is health promotion
2. Is health distortion
3. Is delivered through public health agencies only
4. Does not help in prevention of cancer

Correct answer: 1. Is health promotion

Explanation: WHO definition-&;&; the extension to all people of the benefits of medical psychological and related knowledge is essential to the fullest attainment of health &;&;. Health education is not only delivered through public agencies, but also NGOs ref; PARK 23RD edition, page 43